Hemolytic uremic syndrome is due to -
1. Enterotoxigenic E. coli
2. Enterohemorhagic E. coli
3. Shigella
4. Salmonella

Correct answer: 2. Enterohemorhagic E. coli

Explanation: Ans. is 'b' i.e., Enterohemorhagic